Human Development Index (HDI) does not include:
1. Mean years of schooling
2. Life expectancy at age 1
3. Real GDP per capita
4. Adult literacy rate

Correct answer: 2. Life expectancy at age 1

Explanation: Ans. (b) Life expectancy at age 1ALSO REMEMBER* Human poverty index is complementary to HDI* Human development index Vs Physical quality of life index : HDIPQLIIndicator components1. Longevity - Life expectancy at birth (LE8 /LEo)1. Life expectancy at 1 year age (LE1 )2. Income (Real GDP per capita in PPP US$)2. Infant mortality rate (IMR)3. Knowledge (Mean years of schooling - Gross enrolment ratio and Literacy rate)3. Literacy rateRange0 to +10 to 100India0.64065ALSO REMEMBERHuman Poverty Index (HPI): Used earlier* HPI measures: Deprivation in basic dimensions of human development- HPI is complimentary to Human Development Index (HDI)Components of HPI - I: (Used for developing countries)Components of HPI - II: (Used for developed countries)* Probability at birth of not surviving to age 40* Adult Illiteracy Rate* Un-weighted average of two indicators:1. % population not using an improved water source2. % children underweight- for-age* Probability at birth of not surviving to age 60* % adults (aged 16-65 years) lacking functional literacy skills* % people living below poverty line (BPL)* Rate of long term unemployment (12 months or more)